All of the thyroid tumor arises from follicular epithelial cell except:
1. Papillary carcinoma
2. Follicular carcinoma
3. Medullary carcinoma
4. Anaplastic carcinoma

Correct answer: 3. Medullary carcinoma

Explanation: - Medullary Cancer arises from parafollicular cells or 'C' cells of thyroid associated with secretion of calcitonin. - Remaining all variants ; papillary, follicular, anaplastic thyroid cancers arise from follicular epithelial cells of thyroid